Blood turbulence is increased in which of the following situations -
1. Multiple myeloma
2. Leukemia
3. Polycythemia
4. Anemia

Correct answer: 4. Anemia